Platelet adhesion to vessel wall is due to?
1. Factor IX
2. Fibrinogen
3. vWF
4. Fibronectin

Correct answer: 3. vWF

Explanation: Ans. (c) vWF(Ref: Robbins 9th/pg 660; 8th/pg 670)Platelet adhesion to vessel wall is due to vWF on endothelium and GpIb/IX receptors on the surface of platelets.